DNA replication and transcription occurs in which direction:
1. 5'- 3'
2. 5'- 5'
3. 3'- 5'
4. 3'- 3

Correct answer: 1. 5'- 3'

Explanation: Function Direction Synthesis of DNA 5'- 3' DNA replication of both leading & lagging strand 5'- 3' Transcription 5' - 3' Template strand is read in 3' - 5'